Egg - Shell calcification of lymphnodes is suggestive of
1. Asbestosis
2. Berylliosis
3. Stannosis
4. Coal worker pneumoconiosis

Correct answer: 4. Coal worker pneumoconiosis

Explanation: Silicosis & Coalworker Pneumoconiosis are important cause.